Most common site of subclavian artery obstruction in subclavian steal syndrome is:
1. 1st part
2. 2nd part
3. 3rd part
4. 4th part

Correct answer: 1. 1st part

Explanation: The 1st part of the subclavian artery extends from the origin of the subclavian artery to the medial border of the scalenus anterior muscle. This part gives off the vertebral artery, the thyrocervical trunk, and the internal thoracic artery. The subclavian steal syndrome is characterized by reversal of flow through the vertebral artery due to a more proximal (1st part) occlusion or stenosis of the subclavian artery (ie, the vertebral artery serves as a collateral to supply blood to the arm). Symptoms of effort fatigue in the involved extremity are more common than neurologic complaints. Treatment consists of bypass grafting from the common carotid to the subclavian artery distal to the lesion or transposition of the subclavian artery beyond the lesion to the side of the nearby common carotid artery. Ref: Rapp J.H., MacTaggart J. (2010). Chapter 34. Arteries. In G.M. Doherty (Ed), CURRENT Diagnosis & Treatment: Surgery, 13e